All the following muscles are innervated by oculomotor nerve except:
1. Superior rectus
2. Inferior rectus
3. Lateral rectus
4. Medial rectus

Correct answer: 3. Lateral rectus

Explanation: Ref: Grays Anatomy 40th Ed Pg 655Explanation:Remember: LK6 & S()4Lateral rectus supplied by 6th Cranial nerve - Abducens nerveSuperior oblique supplied by 4th cranial nerve - Trochlear nerveAll other extraocular muscles are supplied by Oculomotor nerveOculomotor Nerve also supplies Levator palpebrae superioris (muscle that elevates the upper eyelid).